Nerve of laterjet of vagus is seen in :
1. Thorax
2. Neck
3. Stomach
4. Heart

Correct answer: 3. Stomach

Explanation: C. i.e. Stomach